Millary mottling on X-ray chest is seen in:
1. Histoplasmosis
2. Sarcoidosis
3. Secondaries from Ca. colon
4. All

Correct answer: 4. All

Explanation: A i.e. Histoplasmosis; B i.e. Sarcoidosis; C i.e. Secondaries from CA colon